Which generation of flowable composite can be used as restorative material?
1. 1st generation
2. 2nd generation
3. 3rd generation
4. All of the above

Correct answer: 2. 2nd generation

Explanation: Because ﬂowable composites were developed with speciﬁc handling characteristics in mind,their  range of advertised clinical uses is quite varied.
Within the range of materials classiﬁed as ﬂowable  composites, those with lower ﬁller content (often referred as generation 1 ﬂowable composites) are  intended for uses such as pit-and-ﬁssure sealants or small anterior restorations. 
Those with higher ﬁller content (also referred as generation 2 ﬂowable composites) have been suggested for use in Classes I, II, III, IV, and V restorations, although they are better suited only for very conservative  restorative procedures. 
In general, the mechanical properties of ﬂowable composites are inferior to  those of standard hybrid composites.